Cylindrical glass is used for:
1. Presbyopia
2. High myopia
3. Hypermetropia
4. Astigmatism

Correct answer: 4. Astigmatism

Explanation: Ans. (d) AstigmatismRef: A.K. Khurana 6th ed. 142-43, Harrison's 19th ed./ 195* Astigmatism is a type of refractive error which arises due to irregular curvature of cornea.* Correction of astigmatism is done by using cylindrical lens.